Individuals with hypogammaglobulinemia are at particular risk of infectious diarrhea due to :
1. Giardiasis and shigellosis
2. C.difficile and vibrio parahemolyticus
3. C.difficile and giardiasis
4. Vibrio parahaemolyticus and shigellosis

Correct answer: 3. C.difficile and giardiasis

Explanation: Individuals with defects in cell-mediated immunity are at high risk of invasive enteropathies, including salmonellosis, listeriosis, and cryptosporidiosis. Individuals with hypogammaglobulinemia are at risk of C. difficile colitis and giardiasis. Reference: Harrisons Principles of Internal Medicine, 18th Edition, Page 1088